Which of the following is not caused by Chlamydia trachomatis?
1. Certis
2. Urethritis
3. Vulvitis
4. Epididymitis

Correct answer: 3. Vulvitis

Explanation: Chlamydia doesn't cause vulvitis. PID is very common.